Uncommon complication of meckels diverticulum is:
1. Intussusception
2. Diverticulitis
3. Malignancy
4. Increased bleeding

Correct answer: 3. Malignancy

Explanation: Ans. C: MalignancyEpidemiology- More common in males by ratio of 3:2Lifetime complication rate: 4%- More than 50% of complications occur before age 10History-Initial report by Hildanus in 1598, Detailed description by Johann Meckel in 1809Pathophysiology: Meckel's Diverticulum- Incomplete vitelline duct (omphalomesenteric) closure- Location. Proximal to ileocecal valve by 100 cmUsually within 45 to 60 cm of ileocecal valveDifferential Diagnosis of Meckel's Diverticulitis-AppendicitisComplications of Meckel's Diverticulum- GI Bleeding (25-50% of complications)Often associated with ectopic gastric mucosaHemorrhage is most common presentation under age 2- Meckel's Diverticulitis (10-20% of complications)-Similar in presentation to Appendicitis- Bowel ObstructionVolvulus at fibrotic band attached to abdominal wallIntussusceptionIncarcerated Inguinal Hernia (Littre's hernia)- Other complications-Carcinoid TumorRadiology- Radionuclide Scintigraphy (Sodium Tc-pertechnetate)Preferential uptake by gastric tissueMost accurate test in Meckel's Diverticulum-Test Sensitivity is 85% in children and Test Specificity is 95% in childrenLess accurate in adults -Cimetidine increases accuracy in adults- Small bowel enema-Indicated for negative scintigraphy in adults- Arteriography (indicated for acute hemorrhage)